Ponto Geniculo Occipital spike is characteristic of ------- sleep
1. Stage 1 NREM
2. Stage 2 NREM
3. Stage 4 NREM
4. REM

Correct answer: 4. REM

Explanation: PGO waves are prominent phasic bioelectrical , closely related to rapid eye , that occur in or during Ref: Principles and practice of sleep medicine, 6e, 2017.